Xeroderma pigmentosum is characterized by
1. AutosomaL dominant inheritance
2. Inability to repair sunlight induced damage to DNA
3. Irregular accumulation of melanin in the basal cell layer
4. Acanthosis of epithelium with elongation of rete ridges

Correct answer: 2. Inability to repair sunlight induced damage to DNA

Explanation: Xeroderma pigmentosum is a genetically determined disorder, in which defective DNA repair mechanisms lead to chronic UV damage and subsequent development of different sun related skin tumors, including melanoma, in sun exposed areas.